"3-Million Plan" was proposed by:-
1. Kartar Singh Committee
2. Mudaliar Committee
3. Srivastava Committee
4. Bhore Committee

Correct answer: 4. Bhore Committee

Explanation: Bhore committee (1946) : 'Health survey and Development committee' Short term plan : 1 PHC per 40,000 population, 30 beds, 3 subcenters and 2 medical officers. Long term plan (3 million plan) : Primary health units with 75- bedded hospitals per 10,000- 20,000 population: secondary health units with 650- bedded hospitals : Regional health units with 2,500 beds. Prepare 'Social Physicians'.( 3 month training in preventive and social medicine in medical education)